Goose skin also called cutis anserina is seen in
1. Drowning
2. Lightening
3. Electrocution
4. Throttling

Correct answer: 1. Drowning

Explanation: Goose skin is seen in drowning. (usually cold water). It is due to contraction of erector pili muscles, attached to hair follicle.